X-ray feature of pyloric stenosis is –
1. Single bubble appearance
2. Double bubble appearance
3. Triple bubble appearance
4. Multiple air fluid levels

Correct answer: 1. Single bubble appearance

Explanation: Single bubble appearance is seen in congenital hypertrophic pyloric stenosis.